What is intermediate cementum:
1. Cementum present between acellular and cellular cementum.
2. Narrow zone of highly calcified tissue between cementum and dentin.
3. It is formed before tooth eruption.
4. None of the above.

Correct answer: 2. Narrow zone of highly calcified tissue between cementum and dentin.

Explanation: Intermediate cementum
-Hyaline layer of Hopewell Smith
-Narrow zone of Highly calcified tissue b/w cementum & dentin